All are Orofacial pain of vascular origin except:
1. Cluster headache
2. Migraine
3. MPDS
4. Chronic paroxysmal hemicrania

Correct answer: 3. MPDS

Explanation: The various orofacial pains of vascular origin are:

Cluster headache
Temporal arteritis (involves extracranial carotid circulation)
Chronic paroxysmal hemicranias
Migraine – (MC)